An infant present with an omphalocele at birth. Which of the following applies to this condition?
1. It is also seen in patients with congenital aganglionic megacolon
2. It results from herniation at the site of regression of the right umbilical vein
3. It is caused by a failure of recanalization of the midgut part of the duodenum
4. It is caused by failure of the midgut to return to the abdominal cavity after herniation into the umbilical stalk

Correct answer: 4. It is caused by failure of the midgut to return to the abdominal cavity after herniation into the umbilical stalk

Explanation: Omphalocele is a ventral body wall defect caused by failure of physiologically herniated loops of bowel to return to the body cavity in the 10th week, congenital aganglionic megacolon is Hirschsprung disease Gastroschisis is a ventral body wall defect, failure of recanalization of the midgut part of the duodenum leads to duodenal atresia Ref: Gray's 39e/p-1289